Bahaviour management techiques were Labeled as
"Embarrassment of riches" in 1977 by -
1. Jimmy R.Pinkham
2. Gerald Z.Wright
3. David W.Chambers
4. J.C. Brauer

Correct answer: 3. David W.Chambers